PRPP (Phospho Ribosyl Pyro Phosphate) is used in :
1. Purine synthesis & Pyrimidine synthesis
2. Histidine synthesis
3. Niacin synthesis
4. All

Correct answer: 4. All

Explanation: Phosphoribosyl Pyrophosphate(PRPP) is used in the synthesis of : 1. Purine 2. Pyrimidine 3. Histidine 4. Niacin synthesis from Tryptophan. NOTE: Phosphoribosyl pyrophosphate (PRPP) participates in pyrimidine biosynthesis only subsequent to assembly of the pyrimidine ring. PRPP serves as a scaffold for assembly of the purine ring in purine biosynthesis. The first intermediate formed in the de novo pathway for purine biosynthesisis 5-phosphoribosyl 1-pyrophosphate (PRPP).